Which of the following is the best to compare vital statistics of countries?
1. Crude death and birth rates
2. Proportional mortality rate
3. Age standardized death rate
4. Age specific death rate

Correct answer: 3. Age standardized death rate

Explanation: If we want to compare the death rates of two populations with different age-composition, the crude death rate is not the right yardstick This is because rates are only comparable if the populations upon which they are based ae comparable.It is cumbersome to use a series of age-specific death rates, hence 'age standardization' is used to remove the confounding effect of different age groups.Park 23epg: 59